A 4–year child presents with a history of hoarseness, croupy cough and aphonia, the child has dyspnoea with wheezing. The most probable diagnosis is –
1. Asthmatic bronchitis
2. Laryngeal foreign body
3. Bronchopneumonia
4. Retropharyngeal abscess

Correct answer: 2. Laryngeal foreign body